Anaemia, punctate basophilia, constipation blue line and abdominal colic are characreristic of
1. Opium addiction
2. Arsenic poisoning
3. Mercuric poisoning
4. Lead poisoning

Correct answer: 4. Lead poisoning

Explanation: D i.e. Lead poisoning